The role played by Major Histocompatibility Complex-1 and -2 is to
1. Transduce the signal to T-cells following antigen recognition
2. Mediate immunogenic class switching
3. Present antigens for recognition by T-cell antigen receptors
4. Enhance the secretion of cytokines

Correct answer: 3. Present antigens for recognition by T-cell antigen receptors

Explanation: The role played by Major Histocompatibility Complex-1 and -2 is to present antigens for recognition by T
cell antigen receptors.
‘Main function of MHC molecule is to bind peptide fragments of foreign protein for presentation to appropriate antigen-specific T cells.’